White radiating lines buccal are characteristic of:
1. Leukoplakia
2. Erythroplakia
3. OSF
4. Lichen pianos

Correct answer: 4. Lichen pianos

Explanation: These are called wickhem’s Strae.